Epidermolysis bullosa is due to defect in collagen type?
1. Type 1
2. Type 3
3. Type 4
4. Type 7

Correct answer: 4. Type 7

Explanation: Ans. D. Type 7Diseases Caused by Mutations in Collagen Genes or by Deficiencies in the Activities of Posttranslational Enzymes Involved in the Biosynthesis of CollagenGene or EnzymeDisease 1COL1A1, COL1A2Osteogenesis imperfecta, type 12 (OMIM 166200)Osteoporosis 3 (OMIM 166710)Ehlers-Danlos syndrome type VII autosomal dominant (OMIM 130060)COL2A1Severe chondrodysplasias Osteoarthritis 3 (OMIM 165720)COL3A1Ehlers-Danlos syndrome type IV (OMIM 130050)COL4A3-COL4A6Alport syndrome (including both autosomal and X-linked forms) (OMIM 104200)COL7A1Epidermolysis bullosa, dystrophic (OMIM 131750)COL10A1Schmid metaphysial chondrodysplasia (OMIM 156500)Lysyl hydroxylaseEhlers-Danlos syndrome type VI (OMIM 225400)Procollagen N-proteinaseEhlers-Danlos syndrome type VII autosomal recessive (OMIM 225410)Lysyl hydroxylaseMenkes disease 4 (OMIM 309400)